Most common vessels to be affected in Buergers disease:
1. Femoral artery
2. Iliac artery
3. Popliteal artery
4. Anterior and posterior tibial artery

Correct answer: 4. Anterior and posterior tibial artery

Explanation: Ans. D: Anterior and posterior tibial artery Buerger disease, a nonatherosclerotic vascular disease also known as thromboangiitis obliterans (TAO), is characterized by the absence or minimal presence of atheromas, segmental vascular inflammation, vasoocclusive phenomenon, and involvement of small and medium-sized arteries (plantar, tibial, radial etc.) and veins of the upper and lower extremities. The condition is strongly associated with heavy tobacco use, and progression of the disease is closely linked to continued use. The typical presentations are rest pain, unremitting ischemic ulcerations, and gangrene of the digits of hands and feet, and as the disease evolves, the patients may require several surgical amputations. Olin (2000) proposes the following criteria: Age younger than 45 years Current (or recent) history of tobacco use Presence of distal extremity ischemia (indicated by claudication, pain at rest, ischemic ulcers or gangrene) documented by noninvasive vascular testing such as ultrasound Exclusion of other autoimmune diseases, hypercoagulable states, and diabetes mellitus by laboratory tests. Exclusion of a proximal source of emboli by echocardiography and arteriography Consistent arteriographic findings in the clinically involved and noninvolved limbs.